A patient with nephritic syndrome will not have
1. Hematuria
2. Mild to moderate proteinuria
3. Hypertension
4. Normal RBC

Correct answer: 4. Normal RBC

Explanation: Ans. D: Normal RBC